Steam under pressure is used in _________ sterilization
1. Pasteurization
2. Autoclave
3. Kochs sterilizer
4. hot air oven

Correct answer: 2. Autoclave